Which of the following drug is a must in the management of dry socket:
1. Antibiotics.
2. Anti-inflammatory.
3. Analgesic.
4. Antipyretic.

Correct answer: 3. Analgesic.

Explanation: The main aim of the treatment of dry socket is pain control.